With a fixed performance mask such as a ventimask
1. Rebreathing is possible
2. Plugging side holes increases the oxygen concentration
3. Total gas flow is higher than the patient’s peak inspiratory flow
4. There is high equipment dead space

Correct answer: 3. Total gas flow is higher than the patient’s peak inspiratory flow

Explanation: Dead space in ventimask is low and rebreathing is not possible because of high flow of gas.